Recommended initial dose of Vitamin "A" for prophylaxis in a 9 month old child is:
1. 4,00,000 I.U.
2. 5,00,000 I.U.
3. 1,00,000 I.U.
4. 2,00,000 I.U.

Correct answer: 3. 1,00,000 I.U.

Explanation: Ans. C: 1,00,000 I.U. National programme for prevention of nutritional blindness focuses on Promoting consumption of vitamin A rich foods by pregnant and lactating women and by children under 5 years of age. Administration of massive doses of vitamin A up to 5 years. First dose of 100,000 IU with measles vaccination at 9 months and subsequent doses of 200,000 IU each, every 6 months up to the age of 5 years should be given.